Which hormone is required for late-stage development of antral follicles
1. Androstenedione
2. FSH
3. LH
4. Estradiol

Correct answer: 2. FSH

Explanation: FSH is required for development of large antral follicles in later stage, although not required for early follicular maturation.